A 72-year-old woman with long history of type-2 DM presents with abdominal pain. Physical examination reveals neuromuscular weakness and hypertension. Laboratory studies show markedly reduced serum calcium and elevated PTH. A surgical exploration of the patient's neck demonstrates 4 symmetrically enlarged parathyroid glands. This patient's endocrinopathy may be caused by which of the following underlying disorders?
1. Adrenal insufficiency
2. Chronic liver disease
3. Insulin deficiency
4. Renal insufficiency

Correct answer: 4. Renal insufficiency

Explanation: - Given clinical features suggests the diagnosis of secondary hyper-parathyroidism Secondary hyper-parathyroidism -Depicted as CB Calcium ,| PTH - Causes: Chronic renal failure Vitamin D deficiency Intestinal malabsorption Fanconi syndrome -Diabetic glomerulosclerosis is a major cause of renal insufficiency. -Chronic hypocalcemia & retention of phosphate-Compensatory hypersecretion of PTH in renal failure. - As a result, secondary hyperplasia of all parathyroid glands occurs. Enlarged parathyroid glands occasionally become independently hyperfunctional resulting in tertiary hyperparathyroidism. Primary hyperparathyroidism is caused by parathyroid adenoma/ hyperplasia/ carcinoma.